The most abundant glycoprotein present in basement membrane is -
1. Laminin
2. Collagen type IV
3. Fibronectin
4. Heparin sulphate

Correct answer: 1. Laminin

Explanation: Laminin and Collegen type IV form tightly bound networks in basement membrane